In Lepra reaction, the drug useful is:
1. Pencillins
2. Clofazimine
3. Dapsone
4. Rifampicin

Correct answer: 2. Clofazimine

Explanation: Ans. (B) Clofazimine(Ref: KDT 8th/e p833)Anti-inflammatory drugs are used in lepra reaction. Steroids, clofazimine and thalidomide can be used.